Tactile hallucinations are noticed in
1. Parkinsonism
2. Chronic depression
3. Chronic cocaine poisoning
4. Acute barbiturate poisoning

Correct answer: 3. Chronic cocaine poisoning

Explanation: Magnan's Syndrome / Cocaine Bugs This is seen in cocaine addicts. It is a type of tactile hallucination. There is a feeling as if grains of sand are lying under the skin or small insects are creeping on the skin giving rise to itching sensation (formication).